Beta blocker without local anaesthetic effect is:
1. Metoprolol
2. Pindolol
3. Propanolol
4. Timolol

Correct answer: 4. Timolol

Explanation: Essentials of medical pharmacology Seventh edition, KD Tripathi Page no=153 Timolol is the prototype of ocular beta-blockers. Is non-selective and has no local anaesthetic or intrinsic sympathomimetic activity.